A double lumen tracheostomy tube all are true EXCEPT:
1. Easy to remove inner cannula
2. Easy to clean inner cannula
3. Easy to replace inner cannula
4. No inner cannula

Correct answer: 4. No inner cannula

Explanation: ANSWER: (D) No inner cannulaREF: Dhingra 4th ed p. 414Double lumen tracheostomy tubes have an inner cannula inside an outer cannula. It is easier to remove, clean and replace the inner cannula.